The most common second malignant in survival of retinoblastoma
1. Thyroid cancer
2. Nasopharyngeal carcinoma
3. Optic glioma
4. Osteosarcoma

Correct answer: 4. Osteosarcoma

Explanation: Osteogenic sarcoma is the most common ocular malignancy in retinoblastoma. IT occurs in hereditary cases Refer khurana 6/e p 421